Otomycosis is most commonly caused by:
1. Actinomycetes
2. Aspergillus niger
3. Mucor
4. Candida albicans

Correct answer: 2. Aspergillus niger

Explanation: Otomycosis/Singapore ear, fungal common causative organism aspergillus niger Other cause - Aspergillus fumigatus Candida albicans c/f - severe itching & hearing, discharge, mild pain o/p - wet blotting paper / wet newspaper appearance of the tympanic membrane Tx - topical antifungal ear drops X 4 weeks aural toilet by micro suction.